Escitalopram is a
1. Selective serotonin reuptake inhibitor.
2. Nonspecific norepinephrine uptake inhibitor
3. Atypical Antideppressants
4. MAO Inhibitors

Correct answer: 1. Selective serotonin reuptake inhibitor.

Explanation: (A) Selective serotonin reuptake inhibitor # Mechanism of action of Escitalopram: Highly potent blockade of serotonin reuptake transport mechanism S CT without its inactive R-enantiomer.> Selective serotonin reuptake inhibitors: include Citalopram, Escitalopram, Fluoxetine, Fluvoxamine, Paroxetine, Sertraline, Venlafaxine. Norepinephrine uptake inhibitors: Amitriptyline, Clomipramine, Doxepin, Imipramine, Desipramine.Trimipramine, Amoxapine, Maprotiline, Nortryptalline, protyptalline. Atypical Antideppressants: Amoxapine. Atomoxetin, Maprotiline, Trazodone and Bupropion, Venlafaxine, Mirtazapine, Nefazodone, and Duloxetine. MAO Inhibitors: Tranylcypromineto phenelzine, Selegiline